A G4P2 lady presented with history of two abortions at 16 weeks and 20 weeks POG. Which of the following could be the most likely reason for these abortions?
1. Chromosomal abnormality
2. Cervical incompetence
3. Placenta previa
4. Thyroid abnormality

Correct answer: 2. Cervical incompetence

Explanation: Abortions- MC causes 1st trimester - chromosomal causes 2nd trimester - Anatomical cause